Erysipelas is caused by -
1. Staph aureus
2. Staph albus
3. Strep pyogenes
4. Hemophilus

Correct answer: 3. Strep pyogenes

Explanation: Erysipelas

is due to S. pyogenes and
is characterized by an abrupt onset of fiery-red swelling of the face or extremities.
the distinctive features of erysipelas are well-defined indurated margins, particularly along the nasolabial fold; rapid progression; and intense pain.
extension to deeper soft tissues is rare.
treatment with penicillin is effective